An otherwise normal female presents with symptoms of flatulent dyspepsia. She was started on proton pump inhibitors, which controlled her symptoms. The next step in management of this condition should be:
1. Immediate laparoscopic cholecstectomy
2. Laparotomy after 1 or 2 months
3. Wait and watch
4. Endoscopic retrograde cholangiopancreatography

Correct answer: 3. Wait and watch

Explanation: A Flatulent dyspepsia is usually a symptom of Gall stone disease but if it responds to a proton pump inhibitors then it is more likely to result from reflux or peptic ulcer disease. Ref: Current Diagnosis and Treatment in Gastroenterology, 2002, Page 774; Non-ulcer Dyspepsia: Pathophysiological and Therapeutic Approaches By J. P. Galmiche; Harrison's Internal Medicine, 17th Edition, Page 1899